When a person I asked about his blood sugar level, he answers like "Diabetics have sweet urine... urine and feces are excreta".... Before finally telling his blood sugar. It is an example of?
1. Tangentiality
2. Circumstantiality
3. Flight of ideas
4. Loosening of association

Correct answer: 2. Circumstantiality

Explanation: Ans. is 'b' i.e., Circumstantiality * In the given example, patient's goal is to tell the blood sugar level. But the patient does not reach his goal directly; rather he reaches the goal indirectly through other direction and includes irrelevant details and digressions. But finally he reaches his goal (i.e. he tells his blood sugar level). It is an example of circumstantiality.* In Tangentiality, a person never reaches the goal.* Circumstantiallity : - Overinclusion of trivial or irrelevant details and digressions overwhelm the direction of thought process. The thought reaches its ultimate goal in a long and round about manner; taking too many degressions and irrelevant elaborations on its way. In simple words, thinking is indirect in reaching a goal or getting a point, i.e., it does not reach the goal directly, rather it reaches the goal indirectly through other direction because of irrelevant details and digressions. It is seen in mania, Schizophrenia and anankastic personality disorder.About other optionsi) Tangentiality (Tangential thinking): - In contrast to circumstantiality the goal is not reached in tangentiality. The thought is sidetracked more and more away from the natural end and never returns to its original point. In response to a question, the patient gives answer that is appropriate to general topic without actually answering the original question, e.g., Q:- Do you have trouble sleeping? Ans. I used to sleep in my bed but now I am sleeping on floor.ii) Flight of ideas : - Skipping verbally from one thought to another before completion of first thought causing the speech to become fragmented. It is seen in mania.iii) Loosening of association (Loose association): - Involve shifting of ideas from one subject to another in an oblique or unrelated manner, Example "I an tired; all people have toes". Loosening of association is seen in schizophrenia